Sample registration survey is conducted every?
1. 6 months
2. 1 year
3. 2 years
4. 10 years

Correct answer: 1. 6 months

Explanation: ANSWER: (A) 6 monthsREF: Park 22nd ed page 785There are four major sources of vital statistics in India, namely;The Sample Registration System (SRS)The Civil Registration System (CRS)Indirect estimates from the decennial censusIndirect estimates from the National Family Health Surveys (NFHS).The first three are operated by the Registrar General India (RGI) working under the Ministry of Home Affairs. The NFHS is organised by the International Institute of Population Sciences (IIPS), working under the Ministry of Health and Family Welfare.Sample registration system:Initiated in 1960's to provide birth and death at state and national levelIts a dual record system consisting of enumeration of birth and death continuously and an independent survey by investigator supervisor every 6 months